Mode Is:
1. Arthimetic average of the values
2. Most frequently occurring observations
3. Middle observation when arranged in ascending or descending order
4. Adding all values and then dividing by number of values

Correct answer: 2. Most frequently occurring observations